Whenever tooth structure is cut with bur residual organic and inorganic components form the
1. beilby layer
2. hybrid layer
3. smear Layer
4. rubbish layer

Correct answer: 3. smear Layer